Drug used in multiple sclerosis
1. Inferferon alpha
2. Interferon beta
3. Interferon gamma
4. Infliximab -

Correct answer: 2. Interferon beta

Explanation: *beta interferon have a modest effect on exacerbrations and disease progression in relapsing-remitting MS. Ref Harrison20th edition pg 2456